Which of the laryngeal cartilage unpaired -
1. Cuneiform
2. Arytenoid
3. Cricoid
4. None

Correct answer: 3. Cricoid

Explanation: Ans. is 'c' i.e., Cricoid [Ref: Dhingra 5th/ep. 201J In Larynx o Cartilages : - i) Paired: - Arytenoid, Corniculate, Cuneiform ii) Unpaired: - Thyroid, Cricoid. Epiglottis o Muscles:- All intrinsic muscles of the larynx are paired except interarytenoid (Transverse arytenoid) o Mucosal:- Vocal cords (vocal folds) and false vocal cords (vestibular folds) are paired.